Which of the following has drum stick appearance?
1. C. bifermentans
2. C perfringens
3. C tetani
4. C difficile

Correct answer: 3. C tetani

Explanation: Option 1, 2, 3, 4 Location of spores: Most of the clostridia bear a sub-terminal spores except: - C. tetani: Produces spherical and terminal spore (drum stick appearance). Refer to the image given below. - C. tertium: Produces oval and terminal spore (tennis racket appearance) - C. bifermentans: Produces central and oval spore.